What is the immediate management of vitreous hemorrhage in eye-
1. Steroids
2. No treatment
3. Antibiotics
4. Vitrectomy

Correct answer: 2. No treatment

Explanation: 1. Complete absorption may occur without organization and the vitreous becomes clear within 4-8 weeks.
2. Organization of haemorrhage with formation of a yellowish-white debris occurs in persistent or recurrent bleeding. 
3. Complications like vitreous liquefaction, degeneration and khaki cell glaucoma (in aphakia) may occur. 
4. Retinitis proliferans may occur which may be complicated by tractional retinal detachment. Treatment
1. Conservative treatment consists of bed rest, elevation of patient’s head and bilateral eye patches.
This will allow the blood to settle down. 
2. Treatment of the cause. Once the blood settles down, indirect ophthalmoscopy should be performed to locate and further manage the causative lesion such as a retinal break, phlebitis, proliferative retinopathy, etc. 
3. Vitrectomy by pars plana route should be considered to clear the vitreous, if the haemorrhage is not absorbed after 3 months